The theme of World AIDS Day 2019 is:
1. Unite for HIV
2. Communities make the difference
3. Right to health
4. Everyone counts

Correct answer: 2. Communities make the difference

Explanation: The theme of World AIDS day 2019 is "Communities make the difference" World AIDS day- 1st December every year Theme for AIDS day 2017 : Everyone Counts Theme for AIDS day 2018 : Know Your Status